Cobra head appearance on excretory urography is suggestive of:
1. Horseshoe kidney
2. Duplication of renal pelvis
3. Simple cyst of kidney
4. Ureterocele

Correct answer: 4. Ureterocele

Explanation: Ans. D: UreteroceleThe term ureterocele denotes a cystic ballooning of the distal end of the ureter. This type of ureterocele is also termed orthotopic, since it arises from a ureter with a normal insertion into the trigone.An intravesical ureterocele results from the prolapse of the mucosa of the terminal segment of the ureter through the ureterovesical orifice into the bladder.This prolapsed ureteral mucosa carries with it a portion of the continuous sheet of the bladder mucosa around the orifice. The prolapsed segment thus has a wall that consists of a thin layer of muscle and collagen interposed between the bladder uroepithelium and the ureter uroepithelium.Since the terminal ureteral orifice is usually narrowed and partially obstructed, and since there is no muscle support for the double mucosal walls of the prolapsed segment, it dilates. This dilated segment fills with urine and protrudes into the bladder.On excretory urography, cobra head sign is classically seen with an intravesical ureterocele.